True about polymerase chain reaction is:
1. Enzymatic DNA amplification
2. Recombinent DNA amplification
3. Separation of protein fragments is serum
4. None

Correct answer: 1. Enzymatic DNA amplification

Explanation: A i.e. Enzymatic DNA amplification